True about Halothane – a) Non irritantb) Antiarrhythmicc) It antagonizes bronchospasmd) Vasodilator
1. abc
2. ad
3. bc
4. acd

Correct answer: 4. acd

Explanation: Halothane is a nonirritant, non-inflammable volatile liquid. It antagonizes the bronchospasm in asthmatics.
Halothane directly dilates the vascular beds of the skin & brain.